Sequence of steps in RPD
1. Guide plane, axial contouring, rest seat
2. Axial contouring, guide plane, rest seat
3. Axial contouring, rest seat, guide plane
4. None of the above

Correct answer: 1. Guide plane, axial contouring, rest seat